A 35-year-old male suffering from sudden onset of high grade fever. On malarial slide examination all stages of parasites are seen with schizonts of 20 microns size with 14-20 merozoites per cell and yellow brown pigment. The diagnosis is:
1. Plasmodium falciparum
2. Plasmodium vivax
3. Plasmodium malariae
4. Plasmodium ovale

Correct answer: 2. Plasmodium vivax

Explanation: Ans. (b) Plasmodium vivax Catch clue of answer from question. In this question clue is 'colour of pigment' which are: Black pigment : P falciparum Brown black : P malariae Dark brown : P ovate Yellow brown : P vivax